Which of the following is not a sphincter in the female urogenital tract:
1. Pubovaginalis
2. External urethral sphincter
3. Internal urethral sphincter
4. Bubospongiosus

Correct answer: 3. Internal urethral sphincter

Explanation: C i.e. Internal urethral sphincter This question is based on the concept that females lack circular smooth muscle internal urethral sphincterQ as their musculature is unorganized whereas the males have a pre prostatic internal urethral sphincter. It is functional hut not a true anatomic sphincter. Bulbospongiosus is sphincter in female genital tractQ. It acts to constrict the vaginal orificeQ, express secretion of greater vestibular glands and contribute to erection of clitoris by compressing deep dorsal vein. Bulbospongiosis helps to empty the urethra of urine after the bladder had emptied. Like urethral sphincter mechanism it s relaxed during micturation, but it contracts to expel final drops of urine or of semen in male from bulbar urethra. It may also assist in final stage of male erection.